HLA allele associated with Graves disease is
1. DR4
2. B27
3. B8
4. DQ8

Correct answer: 3. B8

Explanation: Disease HLA Allele Rheumatoid arthritis DR4 Insulin-dependent diabetes mellitus DR3/DR4` Multiple sclerosis, Goodpasture's DR2 Systemic lupus erythematosus DR2/DR3 Ankylosing spondylitis, psoriasis,inflammatory bowel disease, reactivearthritis B27 Celiac disease DQ2 or DQ8 Graves disease B8 Ref : Ananthanarayana textbook of Microbiology 9th edition Pgno : 180